Most common site for Osteomyelitis:
1. Epiphysis
2. Metaphysis
3. Diaphysis
4. Sub-chondral growth plate

Correct answer: 2. Metaphysis

Explanation: Ans. (b) MetaphysisRef.: Maheshwari 5th ed. 1168* Hematogenous osteomyelitis is an infection caused by bacterial seeding from the blood.* Acute hematogenous osteomyelitis is characterized by an acute infection of the bone caused by the seeding of the bacteria within the bone from a remote source. This condition primarily occurs in children.* The most common site is the rapidly growing and highly vascular metaphysis of growing bones. The apparent slowing or sludging of blood flow as the vessels make sharp angles at the distal metaphysis predisposes the vessels to thrombosis and the bone itself to localized necrosis and bacterial seeding.Also Know* MC site of OM in child: Lower end of femur * MC site of OM in adults: Thoraco-Lumbar vertebra (Thoracic > Lumbar)* MC site of OM in infants: Hip